Which organism causes hemolytic uremic syndrome
1. Neisseria
2. Salmonella
3. Pseudomonas
4. E. Coli

Correct answer: 4. E. Coli

Explanation: Hemolytic uremic syndrome (HUS) is a type 3 hypersensitivity reaction associated with small vessel vasculitis.
• Organisms causing HUS is E.Coli (particularly EHEC) and shigella dysenteriae.